Volkmann's Ischaemic Contracture is due to
1. Injury to ulnar and median nerve
2. Injury to median nerve alone
3. Contracture of the palmar fascia
4. Ischaemic vascular injury to the muscle

Correct answer: 4. Ischaemic vascular injury to the muscle

Explanation: D i.e. Ischemic vascular injury to muscles